Surgery to widen the cartilaginous part of EAC
1. Myringoplasty
2. Meastoplasty
3. Otoplasty
4. Tympanoplasty

Correct answer: 2. Meastoplasty

Explanation: Meatoplasty- Operation in which crescent of conchal cartilage is excised to widen the meatus. Myringoplasty is repair of a perforation of the tympanic membrane (the pars tensa). (TYMPANUM=Middle ear) Tympanoplasty is ossicular reconstruction with myringoplasty. Otoplasty is Reconstruction of Pinna